In radionuclide imaging, the most useful pharmaceutical agent for skeletal imaging is___:
1. Gallium 67
2. Technetium 99 linked to MDP
3. Technetium-Sulphur colloid
4. Technetium 99m

Correct answer: 2. Technetium 99 linked to MDP

Explanation: Ans. B. Technetium 99 linked to MDPMDP (Methyl diphosphonate) adsorbs into the hydroxyapatite crystals and gets accumulated in the areas of active bone formation which can be detected by nuclear imaging.